Multi drug resistant tuberculosis is defined as resistance to?
1. INH and Pyrizinamide
2. INH and Rifampicin
3. Rifampicin and Pyrizinamide
4. Resistance to all first line drugs

Correct answer: 2. INH and Rifampicin

Explanation: Ans. is 'b' i.e., INH and Rifampicin o Multi-Drug Resistant Tuberculosis is defined by resistance to INH and Rifampicin.o 'Multi-Drug Resistant Tuberculosis (MDR-TB) is defined as disease caused by strain of M Tuberculosis that is resistant to both Isoniazid (ONH) and Rifampicin-the most efficacious of the first line Anti-TB drugs ' - Harrison